Fitz-Hugh-Cuiz syndrome is ____________
1. Perihepatitis
2. Cholecystitis
3. Tuboovarian abscess
4. Gonococcal urethritis

Correct answer: 1. Perihepatitis

Explanation: Fitz-Hugh-cuis syndrome is a perihepatitis which occurs in the setting of Pelvic inflammatory disease (PID) It occurs in approximately 10 percent of women with acute PID. Gonococcal salpingitis/Chlamydial infection - transperitoneal/vascular spread - inflammation of the liver capsule and peritoneal surfaces of the anterior right upper quadrant. Characterized by right upper quadrant abdominal pain with a pleuritic component, sometimes referred to the right shoulder. Differential Diagnosis: Cholecystitis: Severity of the pain in the right upper quadrant may mask the diagnosis of PID and lead to an erroneous diagnosis of cholecystitis. Ruptured tubo ovarian abscess: If all abdominal quadrants are involved, suspect a ruptured tubo ovarian abscess. Liver parenchyma and stroma are not involved. Aminotransferases are usually normal or only slightly elevated. Ref: Williams Gynaecology 3rd edition Pgno: 67